In Legionnaire's disease, the culture medium used is:
1. Thayer-Martin medium
2. BCYE medium
3. Chocolate agar
4. Bordet Gengou medium

Correct answer: 2. BCYE medium

Explanation: BCYE medium